A diabetic patient developed cellulite is due to S. aureus, which was found to be methicillin resistant on the antibiotic sensitivity testing. All of the following antibiotics will be appropriate except:
1. Vancomycin
2. Imipenem
3. Teicoplanin
4. Linezolid

Correct answer: 2. Imipenem

Explanation: Ans. is 'b' i.e., Imipenem(Ref: Harrison, 18th/e, p. 1168 and 17th/e, p. 879)"The carbapenem imipenem has excellent activity against methicillin - sensitive S. aureus but not M.R.S.A." Because MRSA is resistant to all Beta-lactam antibiotics including cephalosporins and carbapenems.